Which of the following anti-cancer drug is not antiinflammatory or immunosuppressive -
1. Methotrexate
2. Azathioprine
3. L-Asparginase
4. Cyclopohosphamide

Correct answer: 3. L-Asparginase

Explanation: Ans. is 'c' i.e., L-Asparginase o Repeat from previous session